Most common benign tumours during infancy is
1. Lymphangioma
2. Hemangioma
3. Cystic hygroma
4. Lipoma

Correct answer: 2. Hemangioma

Explanation: An infantile hemangioma is one of the most common benign tumors of infancy and occurs in approximately 5-10% of infants.They occur more frequently in females,premature and low birth weight infants. Reference: GHAI Essential pediatrics, 8th edition